AMH/MIS is secreted by -
1. Leydig cells
2. Sertoli cells
3. Theca cells
4. All of the above

Correct answer: 2. Sertoli cells

Explanation: Ans. is 'b' i.e., Sertoli cells * Mullerian inhibiting substance (MIS)/ Anti mullerian hormone (AMH) is the gonadal hormone that causes regression of the Mullerian ducts, during male embryogenesis.* MIS is a member of the large transforming growth factor-beta (TGF beta) multigene family of glycoproteins that are involved in the regulation of growth and differentiation. The proteins in this gene family are all produced as dimeric precursors and undergo posttranslational processing for activation, requiring cleavage and dissociation to release bioactive C-terminal fragments.* AMH in males is secreted by sertoli cells.* Testosterone is secreted from Leydig cells* In females AMH is produced by granulosa cells in ovarian follicles & is a marker for ovarian reserve.* AMH is always ABSENT in females during embryogenesis